Which patter of inheritance of disease is associated with consanguinity?
1. Autosomal recessive
2. Autosomal dominant
3. X linked recessive
4. X linked dominant

Correct answer: 1. Autosomal recessive

Explanation: CONSANGUINITY - condition in which closely related individuals are going to have the marriage. This can lead to expression of even those genes which are recessive in nature. Therefore, it is a risk factor for expression of AR disorder.